Spontaneous rhythmic respiration initiated in
1. Pre-Botzinger complex
2. Dorsal respiratory group
3. Pneumataxic centre
4. Apneusic centre

Correct answer: 1. Pre-Botzinger complex

Explanation: A i.e. Pre-Botzinger complex